Which of the following occurs along with glucose transport into a cell
1. Sodium symport
2. Sodium anteport
3. Potassium transport
4. Amino acid transport

Correct answer: 1. Sodium symport

Explanation: Na+- Glucose co-transport. Glucose is reabsorbed 100% in Proximal Tubule